In Wilm's tumor the following leads to emergence of resistance to chemotherapy:
1. Nephrogenic rests
2. Monophasic morphology
3. Anaplasia
4. Capsular infiltration

Correct answer: 3. Anaplasia

Explanation: Wilm's tumor : 5% of tumors reveal anaplasia- Large, hyperchromatic, pleomorphic nuclei and abnormal mitoses . The presence of anaplasia correlates with underlying p53 mutation -Emergence of resistance to chemotherapy.